A 59-yrs-old woman undergoes vaginal hysterectomy and anteroposterior repair for uterine prolapse. Which of the following is a complication of this procedure that often develops within 2 weeks of surgery?
1. Dyspareunia
2. Stress urinary incontinence
3. Nonfistulous fecal incontinence
4. Enterocele

Correct answer: 2. Stress urinary incontinence

Explanation: Following surgical repair, if the urethrovesical junction is not properly elevated, urinary incontinence may result. This incontinence may present within the first few days following surgery. Dyspareunia can be caused by shortening of the vagina or constriction at the introitus after healing is complete. If the vaginal vault is closed but not well suspended and if the peritoneum is not closed (By a McCall's Culdoplasty or moschcowitz culdoplasty) vaginal vault prolapse or enterocele may occur at a later date.